All are true about Abnormal uterine bleeding except
1. Blood loss of less than 50 ml
2. Cycle duration is more than 35 days or less than 21 days
3. Bleeding period lasting 7 days or more
4. Irregular bleeding during a regular cycle

Correct answer: 1. Blood loss of less than 50 ml

Explanation: Normal Menstrual Loss
The upper limit of blood loss in a normal menstruation is considered as 80ml. Any bleeding above the specified normal limit is termed as abnormal uterine bleeding